Investigations in a clinically suspected case of tuberculosis
1. Mantoux (in children)
2. Sputum AFB
3. PCR
4. All

Correct answer: 4. All

Explanation: The diagnostic procedures in a clinically suspected case of TB include AFB microscopy of sputum using Ziehl-Neelsen basic fuschsin stain;Mycobacterium culture using Lowenstein-Jensen or Middlebrook medium;nucleic acid amplifications using PCR,BACTEC;radiographic procedures like chest X ray with classic picture of upper-lobe disease with infiltrates & cavities,CT;Tuberculin skin testing with purified protein derivative which is a screening for latent M.tuberculosis infection Reference:Harrison's Medicine-18th edition,page no:1350,1351.